12 years old fever unilateral post auricular pain, mastoid bulging displacing the pinna forward outwards with loss of bony trabeculae. This patient has history of chronic persistent pus discharge from same ear. Treatment of choice is-
1. Antibiotics only
2. Incision and drainage
3. Antibiotics and incision and drainage
4. Mastoidectomy with incision and drainage and antibiotics

Correct answer: 4. Mastoidectomy with incision and drainage and antibiotics

Explanation: Ans. is 'd' i.e., Mastoidectomy with incision and drainage and antibiotics o The patient is presenting with features of postauricular subperiosteal abscess. Treatment for this is antibiotics along with drainage of abscess and cortical mastoidectomy,o This patients has developed this abscess as a complication of CSOM (History of chronic ear discharge) for which he requires meastoidectomy.